Which is not a site for Tophi formation in Gout
1. Skin
2. Bursa
3. Elbow
4. Muscle

Correct answer: 4. Muscle